The following are the components of apgar score except
1. Color
2. Muscle tone
3. Heart rate
4. Respiratory rate

Correct answer: 4. Respiratory rate

Explanation: *Apgar score is an objective method of evaluating the newborn's condition. It includes Heart rate, Respiratory effort, Muscle tone, Reflex irritability and Color. *It is generally performed at 1min and again at 5 min after birth. Reference : page 127 Ghai Essential Pediatrics 9 th edition